Dextromethorphan differs from codeine in :
1. Its antitussive action can be blocked by naloxone
2. Depresses mucocilliary function of the airway mucosa
3. Addiction common
4. Causes no constipation

Correct answer: 4. Causes no constipation